Brown Tumor is seen in:
1. Hypothyroidism
2. Hyperthyroidism
3. Hypoparathyroidism
4. Hyperparathyroidism

Correct answer: 4. Hyperparathyroidism

Explanation: Brown tumor is usually seen in excess osteoclastic activities, such as hyperparathyroidism. It is a repairative process rather than neoplastic. In hyperparathyroidism there is excess parathyroid hormone (PTH) secreted, which leads to excess calcium resorption from the bones leading to "ostitis fibrosa cystica". Ref: Harrison's Principles of Internal Medicine, 17th Edition, Page 1765; Robbins Pathologic Basis of Disease, 8th Edition, Pages 1218, 1128.